Histological features of leiomyoma are all except
1. Well-circumscribed tumor
2. Less cellular than surrounding
3. Cells arranged in interlacing fascicles at right angles
4. Splindle shaped smooth muscle cells with eosinophilic cytoplasm

Correct answer: 2. Less cellular than surrounding

Explanation: Fibroids  are usually more cellular than surrounding myometrium.